Anterior openbite & maxillary constriction is caused by:
1. Thumb sucking
2. Nail biting
3. Bruxism
4. Lip biting

Correct answer: 1. Thumb sucking